In Anterior dislocation of the shoulder the nerve involved is:
1. Radial nerve
2. Circumflex nerve
3. Ulnar nerve
4. Median nerve

Correct answer: 2. Circumflex nerve

Explanation: B i.e. Circumflex nerve - Most common early complication of anterior dislocation of shoulder is nerve injuryQ- Most commonly injured nerve in anterior dislocation of shoulder is circumflex branch of axillary nerveQ.- The higher frequency of circumflex nerve injury is accounted for by the short fixed course of the nerve round the humerus which makes it difficult to escape traction when the humerus is displaced forwards.- Loss of axillary nerve function results in denervation of deltoid muscle (extension lag sign) & teres minorQ, and loss of sensation over proximal lateral aspect of arm (regimental batch area)Q.